Ligamentum arteriosum is derived from:
1. Ductus arteriosus
2. Ductus venosus
3. Ductus utriculosaccularis
4. Ductus reunions

Correct answer: 1. Ductus arteriosus

Explanation: Ans. A: Ductus arteriosusThe ductus arteriosus represents the distal portion of the sixth left aortic arch and connects the left pulmonary artery to the beginning of the descending aorta.During fetal life, blood passes through it from the pulmonary artery to the aorta, thus bypassing the lungs.After birth, it normally constricts, later closes, and becomes the ligamentum arteriosum.A persistent patent ductus arteriosus results in high-pressure aortic blood passing into the pulmonary artery, which raises the pressure in the pulmonary circulation.A patent ductus arteriosus is life threatening and should be ligated and divided surgically.